Ricketsial infections cause 30% mortality due to:
1. Endothelial injury
2. Hemodynamic instability
3. Endocarditis
4. Renal failure

Correct answer: 1. Endothelial injury

Explanation: Ans. is. 'a' i. e., Endothelial injury